Streptococcus pneumonia is ?
1. Gram + diplococci
2. Intracellular gram + diplococci
3. Extracellualr gram –ve diplococcic
4. Gram positive lanceolate diplococcic

Correct answer: 4. Gram positive lanceolate diplococcic